A child presenting with localized patches of complete hair loss with normal appearance of scalp. Diagnosis is -
1. Tinea capitis
2. Cradle cap
3. Alopecia areata
4. Telogen effluvium

Correct answer: 3. Alopecia areata

Explanation: alopecia areata develops as single or multiple oval or round patches of hair loss on the scalp, beard area,eyebrows, eyelashes and other hairy areas of the body. Telogen effluvium- generalized and diffuse hair loss over scalp and body Cradle cap - infantile seborrhoeic dermatitis characterized by yellowish, patchy, greasy, scaly and crusty skin rash that occurs on the scalp of recently born babies. Tinea capitis-a dermatophytosis caused by trichophyton and microsporum fungi , can be either an ectothrix or endothrix type of infection. Ectothrix involves both inside and outside of hair shaft. Endothrix involves only inside of hair shaft. Page no.241,242,55,169 ref Harrison20th edition